Lumbar sympathectomy can be recommended in all of the following except
1. Hyperhydrosis
2. Causalgia
3. Buerger's disease
4. Erectile dysfunction

Correct answer: 4. Erectile dysfunction

Explanation: Lumbar sympathectomy has been used to treat chronic lower limb ischaemia in the past. Lumbar sympathectomy by open operation has, however, been obsolete for several years and even chemical sympathectomy, its minimally invasive equivalent, can now be regarded as outdated. Chemical sympathectomy requires the injection of small quantities of a sclerosant into the lumbar sympathetic chain under radiographic control